The commonest cause of congenital hypothyroidism:
1. Thyroid dysgenesis
2. Pendred syndrome
3. Defective iodine release
4. Deficiency of de-iodinase

Correct answer: 1. Thyroid dysgenesis

Explanation: Ans. A i.e. Thyroid dysgenesis Congenital hypothyroidism Large & open posterior fontanelle, Absent social smile & eyebrows, Growth retardation, Delayed puberty, Cold extremities, Large tongue, Prolongation of physiological jaundice & Epiphyseal dysgenesis